Blindness of Methyl Alcohol is due to damage of:
1. Cons
2. Rods
3. Ganglion cells
4. Nerve fibres

Correct answer: 3. Ganglion cells

Explanation: Ganglion cells